Nasolacrimal duct opens into:-
1. Inferior meatus
2. Superior meatus
3. Middle meatus
4. Spheno-ethmoidal recess

Correct answer: 1. Inferior meatus

Explanation: Nasolacrimal duct opens into the inferior meatus. Structures opening into nasal cavity